A 25 year old executive presents with metamorphopsia in his right eye. On examination the fundus shows a shallow detachment at the macula. The fluorescein angiography shows a "smoke stack" sign. Which of the following management should be given?
1. Topical antibiotic - corticosteroid combination
2. Systemic corticosteroid for two weeks and then taper
3. Pulse Methyl Prednisolone for three days and then taper
4. Just wait and watch for spontaneous recovery

Correct answer: 4. Just wait and watch for spontaneous recovery

Explanation: D i.e. Just wait and watch for spontaneous recovery